"Citron bodies" are formed by?
1. Clostridium welchii
2. Clostridium oedematiens
3. Clostridium septicum
4. Clostridium histolyticum

Correct answer: 3. Clostridium septicum

Explanation: Citron bodies - Boat or leaf-shaped pleomorphic bacilli with irregular staining on gram stained smears in a suspected case of gas gangrene suggests Cl. septicum